In children, acute kidney injury in terms of urine output is defined as?
1. Less than 0.3 ml/kg/hr for >6 hrs
2. Less than 0.5 ml/kg/hr for >6 hrs
3. Less than 0.8 ml/kg/hr for >6 hrs
4. Less than 1 ml/kg/hr for >6 hrs

Correct answer: 2. Less than 0.5 ml/kg/hr for >6 hrs

Explanation: Acute kidney injury (AKI) in children is defined: Increase in S. creatinine of >0.3 mg/dl over 48 hrs or Increase in S. creatinine 1.5-2 fold from baseline in last 7 days Urine output <0.5 ml/kg/hour for > 6 hours Pediatric-Modified Rifle (pRIFLE) Criteria: CRITERIA ESTIMATED Creatinine clearance (eCCl) URINE OUTPUT Risk eCCl decrease by 25% <0.5 mL/kg/hr for 8 hr Injury eCCl decrease by 50% <0.5 mL/kg/hr for 16 hr Failure eCCl decrease by 75% oreCCl <35 mL/min/1.73 m2 <0.3 mL/kg/hr for 24 hror anuric for 12 hr Loss Persistent failure >4 wk End-stage End-stage renal disease(persistent failure >3 mo) Comparison of RIFLE versus AKIN versus KDIGO criteria for AKI Criteria RIFLE Creatinine definition Criteria AKIN Creatinine definition Criteria KDIGO Creatinine definition Urine output Risk >1.5 - fold increase from baseline SCr or decrease in GFR>25% Stage 1 >0.3 mg/dL increrase or>1.5 fold increase from baseline SCr within 48 hrs Stage 1 >0.3 mg/dl increase within 48 hrs or 1.5-1.9 times baseline within 7 days <0.5 ml/kg/h for >6 hours Injury >2 fold increase from baseline SCr or decrease in GFR>50% Stage 2 >2 fold increase from baseline SCr Stage 2 2.0 - 2.9 times baseline within 7 days <0.5 mL/kg/h for 12 hours Failure >3 fold increase from baseline SCr or increase to>4 mg/dl or decrease in GFR >75% Stage 3 >3 fold increase from baseline SCr or increase to>4.0 mg/dl with an acute vincrease of >0.5 mg/dl or initiation of R Stage 3 >3 times baseline within 7 days or increase to>4.0 mg/dL with an acute increase of >0.5 mg/dL or initiation of R <0.3 mL/Kg /h for 24 hours or anuria for > 12 hours **SCr- Serum Creatinine; AKIN: Acute Kidney Injury Network; KDIGO: Kidney Disease Improving Global Outcomes